Trinucleotide repeats seen in Huntington disease is?
1. GAA
2. CAG
3. CTG
4. CGG

Correct answer: 2. CAG

Explanation: GAA - Friedreich ataxia
CAG - huntington disease
CTG - Myotonic dystrophy
CGG - Fragile x syndrome